All of the following may be observed in a normal pregnancy except :
1. Fall in serum iron concentration
2. Increase in serum iron binding capacity
3. Increase in blood viscosity
4. Increase in blood oxygen carrying capacity

Correct answer: 3. Increase in blood viscosity

Explanation: Ans. is c i.e. Increase in blood viscosity In normal pregnancy - as I have already discussed viscosity of blood decreases (not increases) i.e. option "c" is incorrect).deg It is due to disproportionate increase in plasma volume and red blood cell volume i.e. pregnancy is a state of hemodilution.deg Since total hemoglobin mass increases during pregnancy. Therefore, oxygen carrying capacity of blood also increases (Viiiiiiam 23,e, p 115). Therefore, vtion "d is correct. BEWARE - In pregnancy hemoglobin mass increases(to the extent of 18-20%) but hemoglobin concentration decreases due to hemodilution. Now let's have a look at Iron metabolism in pregnancy. - During pregnancy there is marked demand of extra iron especially in the second half. - Even an adequate diet cannot provide the extra demand of iron. Thus In pregnancy there is always a state of physiological iron deficiency. Changes in Iron Metabolism during Pregnancy Marker Change Serum Iron concentration Serum ferritin (Reflecting Iron stores) Serum Total iron binding capacity Percentage saturation (Serum ferritin / Serum Transferrin Decreases Decreases Increases TIBC) Decreases Increases Fiememebr : The two Ts i.e. Transferrin and TIBC increase during pregnancy, rest all parameters of iron metabolism decrease during pregnancy.